In primary health care, ABC and VED are related to :
1. National program evaluation at PHC level
2. Drug inventory management at PHC
3. Staff management at PHC
4. Vaccination coverage assessment in PHC area

Correct answer: 2. Drug inventory management at PHC

Explanation: Inventory management : Science primarily about specifying the shape and placement of stocked goods It is required at different locations within a facility or within many locations of a supply network to precede the regular and planned course of production and stock materials Right stock at right quantity, in right place, at right time, and at right cost Minimise costs and minimise wastage Ref: Inventory Managment by Nose 1st edition Pgno : 36